Cephalic index of Mongolians is
1. <70
2. 70-75
3. 75-80
4. >80

Correct answer: 4. >80

Explanation: Cephalic index (Index of Breadth) is Maximum Breadth of Skull / Maximum Length of Skull. From the Cephalic index, race can be determined in 85 - 90% of cases. The skull of an Indian is Caucasian with a few Negroid characters. Type of skull Cephalic index Race Dolicocephalic (long-headed) 70-75 Pure Aryans, Aborigines, Negroes Mesaticephalic (medium-headed) 75-80 Europeans, Chinese, Indians Brachycephalic (short-headed) 80-85 Mongolian Ref: 1.Dr. Narayana Reddy, The Essentials of Forensic Medicine & Toxicology, 34th edition, pg. 57. 2. V.V.Pillay, Textbook of Forensic Medicine & Toxicology, 18th edition, pg. 70.